Patients comes with fracture femur in an acute accident, the first things to do is
1. Secure airway and treat the shock
2. Splinting
3. Physical examination
4. X-rays

Correct answer: 1. Secure airway and treat the shock

Explanation: A i.e. Secure airway